Accidental choking of respiratory passage by bolus of food:
1. Gagging
2. Overlying
3. Cafe coronary
4. Burking

Correct answer: 3. Cafe coronary

Explanation: Ans. Cafe coronary